ACTH secretion is inhibited by
1. Aldosterone
2. Epinephrine
3. Glucocorticoids
4. CRH

Correct answer: 3. Glucocorticoids

Explanation: Glucocorticoids inhibit ACTH secretion by a direct negative feedback mechanism. They also inhibit CRH secretion. Ref: Guyton and Hall 13th edition Pgno: 977